All of the following are associated with supracondylar fracture of humerus, EXCEPT :
1. It is uncommon after 15 yrs of age
2. Extension type fracture is more common than the flexion type
3. Cubitus varus deformity commonly results following mal union
4. Ulnar nerve is most commonly involved

Correct answer: 4. Ulnar nerve is most commonly involved

Explanation: D i.e. Ulnar nerve is most commonly involved In few cases of supracondylar humerus tardy ulnar nerve palsy may be seen. (Tachdjian - 2166)